FAST is used for:
1. Fast assessment of major visceral injuries
2. To look for free intraperitoneal fluid at specific sites
3. Fast assessment by CT scan to detect intraabdominal injuries
4. Quick clinical assessment to decide about laprotomy

Correct answer: 2. To look for free intraperitoneal fluid at specific sites